Raised unconjugated hyperbilirubinemia is seen in:
1. Gilbert's Syndrome
2. Dubin Johnson syndrome
3. Drug induced cholestasis
4. Hepatocellular necrosis

Correct answer: 1. Gilbert's Syndrome

Explanation: Gilbert's syndrome- mild unconjugated hyperbilirubinemia, normal values for standard hepatic biochemical tests and normal hepatic histology other than a modest increase of lipofuscin pigment in some patients. Serum bilirubin concentrations are most often < 3 mg/dL. Extra edge : Crigler-Najjar syndrome I is often lethal, although Crigler-Najjar syndrome II is compatible with life and often presents with extreme jaundice and neurologic defects secondary to kernicterus. Both DubinJohnson syndrome and Rotor syndrome cause conjugated hyperbilirubinemia